A pregnant patient in second trimester falls into
syncope during extraction of upper molars. She should be kept in
1. Trendelenburg position
2. Head down towards her feet
3. Right Lateral position
4. Left lateral position

Correct answer: 4. Left lateral position